Medicolegal autopsy requires the permission of -a) Policeb) Magistratec) Relatived) Medical superitendant
1. ac
2. ab
3. ad
4. bc

Correct answer: 2. ab

Explanation: Autopsy should,be done only after receiving written order from police officer or magistrate.